Sjogren's syndrome affects -
1. Exocrine glands
2. Paracrine glands
3. Endocrine glands
4. Autocrine glands

Correct answer: 1. Exocrine glands

Explanation: Sjogren's syndrome is characterized by the triad of dry eyes (keratoconjunctivitis sicca), dry mouth (xerostomia), andrheumatoid arthritis. The combination of the former two symptoms is called sicca syndrome.ETIOPATHOGENESIS. Immune mechanisms have been implicated in the etiopathogenesis of lesions in Sjogren's syndrome. Antinuclear antibodies are found in about 90% of cases; test for rheumatoid factor is positive in 25% of cases.The lesions in lacrimal and salivary glands are mediated by T lymphocytes, B cells, and plasma cells.MORPHOLOGIC FEATURES. In the early stage, the lacrimal and salivary glands show periductal infiltration by lymphocytes and plasma cells, which at times may form lymphoid follicles (pseudolymphoma). In the late stage, glandular parenchyma is replaced by fat and fibrous tissue. The ducts are also fibrosed and hyalinised.CLINICAL FEATURES. It is clinically characterized by:Symptoms referable to eyes such as blurred vision, burning, and itching.Symptoms referable to xerostomia such as fissured oral mucosa, dryness, and difficulty in swallowing.Symptoms due to glandular involvement such as enlarged and inflamed lacrimal gland (Mikulicz's syndrome is involvement of parotid along with lacrimal gland).Symptoms due to systemic involvement referable to lungs, CNS, and skin HARSH MOHAN Textbook of pathology 6th edition pg no 81